A direct acting cholinomimetics that is lipid soluble and has been used in the treatment of glaucoma is
1. Acetylcholine
2. Physostigmine
3. Pilocarpine
4. Neostigmine

Correct answer: 3. Pilocarpine

Explanation: Ref-KDT 6/e p98 Pilocarpine is a directly acting and physostigmine-acetylcholine is an indirectly acting cholinomimetic useful for glaucoma.